In an old patient, the best indicator of probability of developing cardiovascular disease can be calculated by-
1. LDL/HDL ratio
2. Triglycerides
3. Total cholesterol
4. Serum LDL

Correct answer: 1. LDL/HDL ratio